Which type of cells are NOT found in stomach?
1. Chief cells
2. Parietal cells
3. Enterochromaffin cells
4. Goblet cells

Correct answer: 4. Goblet cells

Explanation: Goblet cells are interspersed between the absorptive cells. They are less abundant in the duodenum and more numerous in the ileum. These cells produce glycoprotein mucins that are hydrated and cross-linked to form mucus, whose main function is to protect and lubricate the lining of the intestine. The cells of the gastric glands are parietal (oxyntic) cells, chief (zymogenic) cells, mucous cells, enterochromaffin cells secreting a variety of hormones mainly serotonin.